Which of the following is not characteristic of Type I Schizophrenia
1. Positive symptoms
2. CT, MRT shows enlarged ventricles
3. Good Prognosis
4. None of the above

Correct answer: 2. CT, MRT shows enlarged ventricles

Explanation: Type I
Type II


Positive symptoms
Negative symptoms


CT and MRI normal
CT and MRI shows enlarged ventricles


Good Prognosis
Bad Prognosis